Milan Criteria is used for
1. Liver transplant
2. Kidney transplant
3. Lung Transplant
4. Heart transplant

Correct answer: 1. Liver transplant

Explanation: Ans. (a) Liver transplantRef: Bailey and Love 27th edition, Page 1555Milan criteria is for liver transplant in HCC patients:* Single nodule <5cm or less than 3 nodules, the largest of which is <3cm* Those who meet these criteria - recurrence rate less than 20%* Those who fall outside, recurrence rate 60%